When sodium enters cells
1. There is spike in action potential
2. There is plateau in action potential
3. There is repolarization
4. There is hyperpolarization

Correct answer: 1. There is spike in action potential

Explanation: When sodium ion enter a cell the potential goes to the positive side and cause depolarization. There is a spike in action potential.(REF TEXTBOOK OF MEDICAL PHYSIOLOGY GEETHA N 2 EDITION, PAGE NO - 26)